Giant cell (Hecht's) pneumonia is due to
1. CMV
2. Measles
3. Malaria
4. P. carinii

Correct answer: 2. Measles